Where does ADH not act?
1. PCT
2. Collecting duct.
3. Collecting tubules
4. DCT

Correct answer: 1. PCT

Explanation: Vasopressin is a hormone secreted by cells of the hypothalamic nuclei and stored in the posterior pituitary for release as necessary; its stimulates contraction of the muscular tissues of the capillaries and arterioles, raising the blood pressure, and increases peristalsis, exert some influence on the uterus, and resorption of water by the kidney tubules, resulting in concentration of urine. Its rate of secretion is regulated chiefly by the osmolarity of the plasma.Ref: Ganong's review of medical physiology; 24th edition; page no:-303